Type 1 diabetes mellitus patient presents with nasal septal and palatal perforation with brownish black nasal discharge probable diagnosis is:
1. Rhinosporidiosis
2. Aspergillus
3. Leprosy
4. Mucormycosis

Correct answer: 4. Mucormycosis

Explanation: (d) Mucormycosis(Ref. Cummings, 6th ed., 733)Diabetic patient (immunocompromised), with local tissue destruction with brownish black nasal discharge is suggestive of mucormycosis. The black discharge is due to the angioinvasive nature of mucormycosis (leading to vascular thrombosis and gangrene formation).Invasive aspergillosis and leprosy also present with nasal septal and palatal perforation but black discharge does not occur.Rhinosporidiosis presents with blood tinged nasal discharge from red polypoid mass of sporangia (mulberry or strawberry appearance) and there is no local destruction.